Not true about vancomycin is :
1. 95% oral bioavailability
2. Inhibits cells wall synthesis
3. Can be used parenterally as well as orally
4. Indicated for MRSA infections

Correct answer: 1. 95% oral bioavailability